A 7-year-old child presenting with acute Otitis media, does not respond to amoxicillin-clavulanic acid. Examination reveals full and bulging tympanic membrane, the treatment of choice is:
1. Systemic steroids
2. Ciprofloxacin
3. Myringotomy
4. Cortical mastoidectomy

Correct answer: 3. Myringotomy

Explanation: (c) Myringotomy(Ref. Scott Brown, 8th ed., Vol 2; 143)Ciprofloxacin is given in pseudomonal and other Gram-negative infections.Cortical mastoidectomy is done in acute mastoiditisIn ASOM steroids are not usedThe slight bulge of TM may regress with antibiotics alone. Myringotomy being an invasive procedure is done only when the TM is full and bulging.Myringotomy with grommet insertion is the treatment modality in serous Otitis media